One of the disadvantages of breech loading, metallic type, self-aspirating, cartridge type syringe is
1. Autoclavable
2. Rust resistant
3. Piston is scored
4. Weight

Correct answer: 4. Weight